Branch of basilar artery include -
1. Posterior inferior cerebellar artery
2. Posterior cerebral artery
3. Middle cerebral artery
4. Posterior communicating artery

Correct answer: 2. Posterior cerebral artery

Explanation: Branches of basilar artery are : pontine branches, anterior inferior cerebellar artery, superior cerebellar artery, labyrinthine artery, posterior cerebral artery, central branches, posterior choroidal artery and cortical branches.